Which of the following is the most appropriate management of a face presentation with no fetal distress and an adequate pelvis, as determined by digital examination?
1. Perform immediate cesarean section without labor
2. Allow spontaneous labor with vaginal delivery
3. Perform forceps rotation in the second stage of labor to convert mentum posterior to mentum anterior and to allow vaginal delivery
4. Allow to labor spontaneously until complete cervical dilation is achieved and then perform internal podalic version with breech extraction

Correct answer: 2. Allow spontaneous labor with vaginal delivery

Explanation: If Face presents with mento- anterior , it can deliver vaginally. The diameter of engagement is Sub-mentovertical, 10cms, or sub-mentobregmatic,9.5 cms, both of which support a normal vaginal delivery Mento posterior position has no mechanism of labor as the engaging diameter is the sterno bregmatic of 16-18cm because the chest and the head try to pass the brim at the same time It is best to do an elective cesarean section for Mento-posterior